In a metal ceramic crown for a FPD the function of tin, indium which are readily oxidized minor constituents is to:
1. Improve bonding
2. Decrease porosity
3. They react with the porcelain opaque layer, which masks the metal
4. Improves the thermal expansion between the metal and porcelain

Correct answer: 1. Improve bonding